What is untrue about Ludwig angina?
1. It spreads bilaterally
2. Most common cause is dental infection
3. It involves submandibular and sublingual spaces
4. Involvement of submandibular gland and Lymph nodes is common

Correct answer: 4. Involvement of submandibular gland and Lymph nodes is common